Hardness of drinking water should be?
1. >3
2. <1
3. 3-Jan
4. >6

Correct answer: 3. 3-Jan

Explanation: Drinking water should be moderately hard.Softening of water is recommended if hardness ecxeeds 3mEq/l. Soft water- <1 mEq/l Moderately hard- 1-3 mEq/l Hard water- 3-6mEq/l Very hard water- >6mEq/l Parks textbook of preventive and social medicine.K Park. Edition 23.Pg no: 727